All of the following statements about carbohydrate antigens are true except
1. Good memory response
2. Poor immunogenicity
3. T-cell independent immunity
4. Polyclonal response

Correct answer: 1. Good memory response

Explanation: Ans. (a) Good memory response Ref. Understand the immune system Llge (wary/Black well) "Polysaccharide antigens are ineffective in producing immunogenic memory and this is the reason behind the protein conjugation of polysaccharide vacines." Carbohydrate Polysaccharide antigens: T-cell independent antigens, hence they do not evoke T-cell response which is essential for memory response. Usually present in bacterial cell wall and capsule Stimulates B-cell directly without involving antigen presenting cells, or else produce polyclonal activation of B-cells. Considerably less immunogenic in comparison to peptide antigen Don't exhibit delayed type hypersensitivity In large doses induce tolerance